Dose of tetracycline which coloration as well as hypoplasia of enamel:
1. 5 mg/kg body weight
2. 15 mg/kg body weight
3. 20 mg/kg body weight
4. 50 mg/kg body weight

Correct answer: 4. 50 mg/kg body weight

Explanation: Many clinical studies revealed that average dose consumption of 20-35 mg/kg body weight / day during tooth formation results in -discoloration. Doses > 35 mg/kg/ day results in both discoloration and hypoplasia of enamel.